True about Papillary thyroid carcinoma:
1. More common in females
2. Lymph node metastasis is common
3. Can metastasize to lungs
4. All

Correct answer: 4. All

Explanation: Ans is A (More common in females), B (Lymph node metastasis is common), C (Can metastasize to lungs) About option C: Schwartz 9/e p1362 writes- "Distant metastases are uncommon at initial presentation, but may ultimately develop in up to 20% of patients. The most common sites are the lungs, followed by bone, liver, and brain."